Presence of Wickham's striae in the oral cavity is a manifestation of:
1. HIV infection
2. Lichen planus
3. Leukemia
4. Oral candidiasis

Correct answer: 2. Lichen planus

Explanation: Wickham's striae are interlacing white lines in the buccal mucosa seen in lichen planus - a skin disorder.HIV infection presents with oral Candida infection, angular cheilitis, hairy leukoplakia, periodontitis, gingivitis, diffuse parotid enlargement, recurrent herpetic infections of the oral cavity causing ulcers and Kaposi's sarcoma.Leukaemia presents with gum hypertrophy, petechiae of mucous membrane of oral cavity, pale oral mucosa and oral ulcers.Oral candidiasis presents in three forms:(i). As a thrush, white patches are formed in oral mucosa or tongue and when wiped leave a red base.(ii). Chronic hypertrophic form presents as a white patch that cannot be wiped off.(iii). Atrophic form presents as red ulcerated mucosa without any pseudomembrane. It is seen in those using long-term antibiotics, steroids or cytotoxic drugs.